Vitamin A toxicity causes
1. Wernickes encephalopathy
2. Night blindness
3. Increased intracranial pressure
4. Decreased intracranial pressure

Correct answer: 3. Increased intracranial pressure